Procedure of choice in ulcerative colitis with acute perforation is -
1. Defunctioning ileostomy
2. Closure of perforation
3. Proximal diversion colostomy
4. Total colectomy and ileostomy

Correct answer: 4. Total colectomy and ileostomy